Chlamydiae are -
1. Viruses
2. Fungi
3. Protozoa
4. Bacteria

Correct answer: 4. Bacteria

Explanation: Ans. is 'd' i.e., Bacteria Chlamydiae are obligate intracellular bacterial parasites of humans, animals and birds.